Increased blood levels of cholesterol that are seen in hypothyroidism are most likely due to -
1. Decreased calorigenesis
2. Decreased production of LDL receptor in liver and the thus decreased clearance by liver
3. Decreased production of LDL receptor in the adipose tissue and increased release of cholesterol from adipose tissues
4. Increased breakdown of lipoproteins releasing cholesterol in circulation

Correct answer: 2. Decreased production of LDL receptor in liver and the thus decreased clearance by liver

Explanation: Ans- B Thyroid hormone increases the hepatic expression of LDL receptor. Hence in hypothyroidism there is reduction in hepatic LDL receptor So there is reduced clearance of LDL.